The adenomatous polypi of large bowel are most often situated in -
1. Ascending colon
2. Transverse colon
3. Descending colon
4. Sigmoid colon

Correct answer: 4. Sigmoid colon

Explanation: Ans. is 'd' i.e., Sigmoid colon